Which of the following is the calcitonin gene related peptide (CGRP)receptor antagonist approved by FDA for treatment of acute migraine attack?
1. Rimegepant
2. Lasmiditan
3. Eletriptan
4. Erenumab

Correct answer: 1. Rimegepant

Explanation: FDA approved rimepegant , a CGRP receptor antagonist for treatment of acute migraine attack in february 2020. Activation of cells in the trigeminal nucleus results in the release of vasoactive neuropeptides, particularly calcitonin gene-related peptide (CGRP), at vascular terminals of the trigeminal nerve and within the trigeminal nucleus. Six CGRP receptor antagonists, gepants, have now been shown to be effective in the acute treatment of migraine, and four monoclonal antibodies to CGRP or its receptor have been shown to be effective in migraine prevention Most drugs effective in the treatment of migraine are members of one of three major pharmacologic classes: nonsteroidal anti-inflammatory drugs, 5-HT1B/1D receptor agonists, and dopamine receptor antagonists. Two new classes of therapeutic agents, CGRP receptor antagonists, such as rimegepant and ubrogepant, and 5-HT1F receptor agonists, such as lasmiditan, should soon be available. Ref Harrison 20th edition page 3096, 3100